Method of prevention of GVHD in bone marrow transplantation is
1. T-cell removal
2. Prior immune suppression
3. Post procedure immune suppression
4. All of the above

Correct answer: 4. All of the above

Explanation: Answer- D. All of the abovePrior immunosuppressionT cell depletion from the marrow or stem cellsTreatment after transplant